Cause of antigenic drift in influenza viral infections is
1. Small mutation in neuraminidase and hemagglutinin
2. Large mutations in hemagglutinin only
3. Step mutations in viral genome
4. None of the above

Correct answer: 1. Small mutation in neuraminidase and hemagglutinin

Explanation: antigenic drift - small changes in the genes of influenza viruses that happen continually over time as the virus replicates.Antigenic shift - an abrupt, major change in the influenza A viruses, resulting in new hemagglutinin and neuraminidase proteins in influenza viruses that infect humans.